Potassium Iodide given for cough acts as
1. Central antitussive
2. Expectorant
3. Peripheral antitussive
4. Mucolytic

Correct answer: 2. Expectorant

Explanation: Potassium Iodide is an expectorant that increases bronchial secretion either directly by irritating bronchial glands or indirectly by causing gastric irritation.